With regards to temperature requirement, most pathogenic bacteria are:
1. Psychrophiles
2. Mesophiles
3. Cryophiles
4. Thermophiles

Correct answer: 2. Mesophiles